Low glycemic index food is:
1. Easily digestible
2. Increases plasma glucose
3. Has slower absorption
4. Increase glycogen deposits

Correct answer: 3. Has slower absorption

Explanation: GLYCEMIC INDEX -glycemic index which measures the time course of postprandial glucose concentrations from a graph* Glycemic index of complex carbohydrate is low because of slow digestion and slow absorption* Glycemic index of carbohydrate is low when its combine with fat , protein and fiber * Foods that have a low glycemic index are considered to be more beneficial since they cause less fluctuation in insulin secretion